A surgical resident has accidently given an intra arterial injection of thiopental sodium to a patient on the ward. The arm has blanched below the level of the injection. Which of the following is NOT recommended for the management?
1. Immediately remove the needle and apply warm towel
2. Perform a brachial plexus block on the affected side
3. Give IV heparin
4. Give analgesics

Correct answer: 1. Immediately remove the needle and apply warm towel

Explanation: The recommendation in such a scenario is to leave the needle in the artery and to inject a vasodilator like papaverine. A brachial plexus block or stellate ganglion block will cause vasodilatation and decrease the ischemia. In case of extravascular injection infiltrate with hyaluronidase 1500 IU dissolved in 1 ml through the cannula. Ref: Oxford handbook of clinical specialities, 8th Edition, Page 620.